All the following anti-retroviral drugs produce dyslipidemia except -
1. Atazanavir
2. Saquinavir
3. Amprinavir
4. Nelfinavir

Correct answer: 1. Atazanavir

Explanation: Ans. is 'a' i.e., Atazanavir o Amongst protease inhibitors dyslipidemia is caused by - Saquinavir, ritonavir, indinavir, nelfinavir, amprenavir, lopinavir.